Which of the following statements are false regarding vasectomy?
1. 1 in 2000 men can become fertile again
2. Sperm granuloma is a common complication
3. Sperm production will be stopped following the procedure
4. Done under local anaesthesia

Correct answer: 3. Sperm production will be stopped following the procedure

Explanation: A risk of about 1 in 2000 of pregnancy resulting from late recanalisation after previous clearance. 1 in 2000 men can become fertile again due to rejoining of the two ends of the vas, so vasectomy is not 100% effective. Common complications are Scrotal bruising, haematoma, Chronic testis pain affecting quality of life (1-2%) and sperm granuloma. Sperm will still be produced by the testis but will get dissolved in the body. Sperm can still be present for a few months and so a semen analysis is done three months after vasectomy. A second contraception is needed during this period. It is done under local anaesthesia. The sex hormones will still be produced by the testes so libido and erectile function are unaffected. Ref: Vasectomy ; BMJ 2013;346:f1674; AUG Guidelines: